Which of the following structures is derived from the diencephalon?
1. Caudate nucleus
2. Cerebellum
3. Olfactory bulbs
4. Neurohypophysis

Correct answer: 4. Neurohypophysis

Explanation: Neurohypophysis develops from the diencephalon. Adenohypophysis (pars distalis, pars tuberalis, and pars intermedia) develops from Rathke's pouch, ectodermal diverticulum of the stomodeum. Caudate nucleus & olfactory bulbs develop from the telencephalon. Cerebellum develops from the metencephalon